Most common type of Ca thyroid having least hematogenous spread -
1. Follicular
2. Papillary
3. Anaplastic
4. Medullary

Correct answer: 2. Papillary

Explanation: Ans. is 'b' i.e., Papillary 7